Waxy flexibility is characteristic of
1. Excitatory catatonia
2. Stuporous catatonia
3. OCD
4. All

Correct answer: 2. Stuporous catatonia

Explanation: Stuporous (or Retarded) Catatonia Some Important Clinical Features of Retarded Catatonia 1. Mutism: Complete absence of speech 2. Rigidity: Maintenance of a rigid posture against efforts to be moved 3. Negativism: An apparently motiveless resistance to all commands and attempts to be moved, or doing just the opposite 4. Posturing: Voluntary assumption of an inappropriate and often bizarre posture for long periods of time 5. Stupor: Akinesis (no movement) with mutism but with evidence of relative preservation of conscious awareness 6. Echolalia: Repetition, echo or mimicking of phrases or words heard 7. Echopraxia: Repetition, echo or mimicking of actions observed 8. Waxy flexibility: Parts of body can be placed in positions that will be maintained for long periods of time, even if very uncomfortable; flexible like wax 9. Ambitendency: Due to ambivalence, conflicting impulses and tentative actions are made, but no goal-directed action occurs, e.g. on asking to take out tongue, tongue is slightly protruded but taken back again 10. Other signs such as mannerisms, stereotypies (verbal and behavioural), automatic obedience (commands are followed automatically, irrespective of their nature) and verbigeration (incomprehensible speech). Ref: A Short Textbook of Psychiatry, Niraj Ahuja, 7th Edition, pg. no. 59